Professional misconduct -
1. Association with non medical persons in medical procedures
2. Dichotomy
3. Issuing false certificate
4. All of the above

Correct answer: 4. All of the above

Explanation: Professional misconduct is any conduct of the doctor which might reasonably be regarded as disgraceful or dishonorable. Conduct is judged by professional men of good repute and competence. The doctor may get a warning notice and his name can be erased from Medical Register if guilty. These offenses include mnemonic 6 A's 1 D. Adultery, unlawful Abortion, Advertising, Association with unqualified persons in professional matters, Addiction, Alcohol, and Dichotomy or fee splitting. REF: Dr.K.S.Narayana Reddys Synopsis of Forensic Medicine & Toxicology 29th edition Pg.15.